Cause of death in diabetic ketoacidosis in children
1. Cerebral edema
2. Hypokalemia
3. Infection
4. Acidosis

Correct answer: 1. Cerebral edema

Explanation: Ans. is 'a' i.e., Cerebral edema High blood sugar will cross the blood brain barrier and simultaneously will draw water inside leading to cerebral edema. Cerebral edema accounts for 60-90% of all DKA related deaths in children. Infection is a precipitator for development of DKA. Other precipitating factor can be tissue ischemia, inadequate insulin administration, drugs (cocaine) and pregnancy.